Which of the following fuel gases is the best choice of heat source to carry out soldering process?
1. Propane
2. Acetylene
3. Natural gas
4. Hydrogen

Correct answer: 1. Propane